The restoration which shows percolation and shrinkage along the margin is:
1. Composites
2. Unfilled resins
3. Amalgam
4. Polycarboxylate

Correct answer: 2. Unfilled resins